Damage to which of the following will cause a positive Trendelenburg sign?
1. Genitofemoral nerve
2. Superior gluteal nerve
3. Pudendal nerve
4. Posterior tibial nerve

Correct answer: 2. Superior gluteal nerve

Explanation: Trendelenburg sign is when the patient stands on one foot, the buttock falls on the opposite side. It is a sign of Superior gluteal nerve lesion.To learn - Nerve involved : Superior gluteal nerve (L4, L5, S1) innervates gluteus medius and minimus muscles. Muscles involved : The gluteus medius muscle abducts and medially rotates the femur at the hip joint. In addition, the gluteus medius holds the pelvis secure over the stance leg, preventing pelvic drop on the opposite swing side during gait. The action of the gluteus minimus muscle is the same as that of the gluteus medius.Ref: Morton D.A., Foreman K.B., Albertine K.H. (2011). Chapter 35. Gluteal Region and Hip. In D.A. Morton, K.B. Foreman, K.H. Albertine (Eds), The Big Picture: Gross Anatomy ---- G2M RANDOM TIP: How to use the website for your advantage? ----Difficulty Filter : When you use STUDY PANEL > RAPID TEST or MY TEST > Use the filters difficulty filters > HIGH > shows questions which >70% of candidates got wrong. This is important for a competitive advantage.